Complications of tuberular meningitis include all except-
1. Hydrocephalus
2. Cortical venous thrombosis
3. Cerebral Artery Thrombosis
4. Cranial Nerve Palsy

Correct answer: 2. Cortical venous thrombosis